Carbon monoxide poisoning shows the following post-mortem staining:
1. Cherry red postmortem staining
2. Pink postmortem staining
3. Chocolate coloured postmortem staining
4. Blue postmortem staining

Correct answer: 1. Cherry red postmortem staining

Explanation: In carbon monoxide poisoning, the colour of post mortem staining is cherry-red. In poisoning by nitrites, potassium chlorate, potassium bicarbonate, nitrobenzene, acetanilide, bromates, and aniline the colour is chocolate brown. In asphyxia, the colour of the stains is deeply bluish-violet or purple. A bright pink colour is seen in hypothermia and bodies taken from cold water. Ref: The Essentials of Forensic Medicine and Toxicology by KS Narayan Reddy, 27th edition, Page 139.